Algorithm for the stabilization of the severely injured
patient:
1. Treating the hard tissue injuries
2. Reducing facial bone fractures
3. Control of haemorrhage
4. Airway, breathing and circulation

Correct answer: 4. Airway, breathing and circulation